Which of the following is a mineralocorticoid antagonist ?
1. Spironolactone
2. Inamrinone
3. Nicorandil
4. Ketorolac

Correct answer: 1. Spironolactone

Explanation: Ans. is 'a' i.e., Spironolactone